Cyanides shows its toxicity by binding to the following:
1. Cytochrome oxidase
2. Acetylcholinesterase
3. Alpha adrenergic receptors
4. Histamine

Correct answer: 1. Cytochrome oxidase

Explanation: Cyanide is a chemical asphyxiant; binding to cellular cytochrome oxidase, it blocks the aerobic utilization of oxygen. Whole-blood levels higher than 0.5-1 mg/L are considered toxic. The conventional cyanide antidote package consists of amyl and sodium nitrites, which produce cyanide-scavenging methemoglobinemia, and sodium thiosulfate, which accelerates the conversion of cyanide to thiocyanate. Ref: Blanc P.D. (2012). Chapter 57. Cyanide. In K.R. Olson (Ed), Poisoning & Drug Overdose, 6e.